Second swallowing in barium meal studies is found in-
1. Pharyngeal pouch
2. Achalasia cardia
3. Scleroderma
4. Reflux esophagitis

Correct answer: 1. Pharyngeal pouch

Explanation: • Second swallow is due to regurgitation of barium from pharyngeal pouch